The hinge joint articulator was designed by:
1. Bonwill
2. Gariot
3. Gysi
4. Hanau

Correct answer: 2. Gariot